The most prevalent esophageal cancer world wide is:
1. Squamous cell ca
2. Adenocarcinoma
3. Sarcoma
4. Adenoid cystic carcinoma

Correct answer: 1. Squamous cell ca

Explanation: Answer is A (Squamous cell Ca): `By far the most common esophageal cancer world wide is squamous cell carcinoma' - Current Gastroenterology 'Over the past few decades there has been a progressive increase in the incidence of adenocarcinoma of the distal esophagus so that it accounts for more than 50% of all new cases of esophageal cancer. Squamous cell carcinoma is still the most common type world wide' - CSDT/469 Confusing inference Most prevalent esophageal cancer world wide (old + new cases) is Squamous cell ca Most common esophageal cancer world wide (new cases) is Adenocarcinoma